Man is dead end for:
1. Tetanus, measles
2. Measles, yellow fever
3. Tetanus, yellow fever
4. Rabies, tetanus

Correct answer: 4. Rabies, tetanus

Explanation: Rabies, tetanus